Which of the following situations is more specific of a panic disorder.
1. Panic attack at a death funeral
2. Panic attack at an interview
3. Panic attack at an exam
4. Panic attack waking one from sleep

Correct answer: 4. Panic attack waking one from sleep

Explanation: While panic attack can happen with or without reasons, the diagnosis of panic disorder is considered when there are denovo (without reason) panic attacks. The other important features of panic disorder are: Anticipatory anxiety With or without agoraphobia As per the choices, the nocturnal panic attack awakening the individual from sleep is characteristic of panic disorder, whereas the other choices are more contextual panicky symptoms.